Most common ovarian tumour in pregnancy is :
1. Mucinous cyst adenoma
2. Dermoid cyst
3. Metastasis
4. Dysgerminoma

Correct answer: 2. Dermoid cyst

Explanation: Ans. is b i.e. Dermoid cyst "Dysgerminomas are the most common malignant tumor diagnosed during pregnancy but overall most common is dermoid cyst." Most common tumour of ovary in pregnancy is serous cystadenoma but most cases remain undiagnosed, However, incidence of dermoid cyst increase two times in pregnancy and it becomes themost commonly diagnosed ovarian tumour during pregnancy. In this question as serous cystadenoma is not in option, answer would be dermoid.